Essential drug is?
1. Drugs that has been developed specifically to treat a rare medical condition
2. Those drugs that satisfy the health care needs of the majority of the population
3. Those drugs that satisfy the health care needs of at least 50% of the population
4. Drug that is to be used with in first hour of the acute attack of the disease

Correct answer: 2. Those drugs that satisfy the health care needs of the majority of the population

Explanation: ANSWER: (B) Those drugs that satisfy the health care needs of the majority of the populationREF: KDT 6th edition page 5Essential drugs (medicines), as defined by the World Health Organization (WHO) are "those drugs that satisfy the health care needs of the majority of the population; they should therefore be available at all times in adequate amounts and in appropriate dosage forms, at a price the community can afford.